Features of periostitis on X-ray hip of a child suggests
1. Syphilis
2. Rubella
3. Toxoplasma
4. CMV

Correct answer: 1. Syphilis

Explanation: (A) Syphilis